Final common pathway of metabolism of carbohydrate, lipids and protein metabolism is?
1. Glucogenesis
2. Gycolysis
3. TCA
4. HMP pathway

Correct answer: 3. TCA

Explanation: ANSWER: (C) TCAREF: Lippincott's biochemistry 4th ed page 109, Harper's 28th ed page 306See Biochemistry 2013 Session 2 for details of TCA/kerb cycle cyde is an aerobic pathway, because O2. is required as the final electron acceptor. Most of the body's catabolic pathways converge on the TCA cyde. Reactions such as the catabolism of some amino adds generate intermediates of the cycle and are called anaplerotic reactions. The citric add cycle also participates in a number of important synthetic reactions. For example, the cycle functions in the formation of glucose from the carbon skeletons of some amino acids, and it provides building blocks for the synthesis of some amino acids and heme.